Best tocolytic in a cardiac patient is:
1. Atosiban
2. Isoxsuprine
3. Nifedipine
4. MgSO4

Correct answer: 1. Atosiban

Explanation: Ans. is a, i.e. AtosibanRef. Textbook of Obs.tetrics, Shiela Balakrishnan 1/e, p 231Role of Tocolytics in Heart DiseaseMost of the tocolytics are contraindicated in heart diseaseSafest tocolytic is atosiban (oxytocin antagonist)Beta agonist is contraindicated in cardiac arrthymias, valvular disease and cardiac ischemia because of their sympathomimetic side effects such as tachycardia, palpitation and hypotension.Nifedipine is contraindicated in conduction defect, left ventricular failure due to side effects as tachycardia, hypotension, etc.Tocolytics of choice* Overall tocolytic of choice* Safest tocolytic agent (as it can be used in heart disease patient)* Most efficacious tocolytic agent* Tocolytic preferred in heart disease* Nifedipine* Atosiban* Nifedipine* Atosiban